Most common type of degeneration of uterine fibroid during pregnancy?
1. Cystic degeneration
2. Red degeneration
3. Calcific degeneration
4. Hyaline degeneration

Correct answer: 2. Red degeneration

Explanation: Ans. B. Red degeneration. (Ref Textbook of Gynaecology by D C Dutta 5th/pg. 265)Textbook of Gynaecology by D C Dutta 5th/pg. 265....under the heading "Degenerations" & subheading "Red degeneration ".........."Red degeneration (carneous degeneration) occurs in a large fibroid mainly during second half of pregnancy and puerperium. Partial recovery is possible and as such called necrobiosis. The cause is not known but is probably vascular in origin. Infection does not play any part".Also remember:# Hyaline degeneration is the most common (65%) type of degeneration affecting all fibroids except tiny one.# Fatty degeneration is usually found at or after menopause.# Cystic degeneration usually occurs after menopause and is common in interstitial fibroids.# Calcific degeneration (10%) usually involves subserous fibroids with small pedicle or those in postmenopausal women.